Changes in blood passing through the systemic capillaries are all, EXCEPT:
1. Increase in hematocrit
2. pH decreases
3. Shift of oxygen dissociation curve to the left.
4. Increase in protein content

Correct answer: 3. Shift of oxygen dissociation curve to the left.

Explanation: When blood passes through the capillaries CO2 diffuses from the tissue cells into the blood. This increases the blood PC02 and hence blood H2CO3 and Hydrogen ion conc. The 02-hemoglobin dissociation curve shifts to the right within the capillaries in response to increase in blood C02 and Hydrogen ions. A shift of the curve to the left indicates increased affinity of hemoglobin for oxygen. Ref: Textbook of Medical Physiology By Guyton, 10th Edition, Page 466; Ganong's Review of Medical Physiology, 23rd Edition, Page 667-9.